All of the following are essential features of attention deficit hyperactivity disease (ADHD) except:
1. Lack of concentration
2. Impulsivity
3. Intellectual disability
4. Hyperactivity

Correct answer: 3. Intellectual disability

Explanation: ADHD children will not have intellectual disability. Ref: Text Book of Pediatrics By Nelson, 17th Edition, Pages 107-108